Which of the following factors is the most important predictor of development of Post-Traumatic Stress Disorder (PTSD) in a 30-year-old man who has just been involved in a road traffic accident?
1. Death of a friend in the accident
2. His age and gender
3. History of panic disorder
4. History of substance abuse

Correct answer: 1. Death of a friend in the accident

Explanation: Severity of event or accident is the most important predictor for development of PTSD.